All the following drugs are used for Absence seizures except –
1. Clonazepam
2. Phenytoin
3. Valproate
4. Ethosuximide

Correct answer: 2. Phenytoin